All of the following drugs act by increasing the secretion of insulin except?
1. Exenatide
2. Saxagliptin
3. Rosiglitazone
4. Glipizide

Correct answer: 3. Rosiglitazone

Explanation: Exenatide ->GLP-1 analogue - incretin which release insulin. S/E: Pancreatitis Saxagliptin -> DPP4 inhibitor which inhibit the metabolism of GLP-1, therefore increase insulin. Rosiglitazone acts PPAR gamma receptor. Reverse insulin resistance, associated with increase cardiovascular risk, Fluid retention,edema, anemia, weight gain, macular edema,bone fractures in women Glipizide is a sulfonylurea that increase release of insulin